Which of the following structures is not present in lesser omentum
1. Portal vein
2. Hepatic artery
3. Bile duct
4. Inferior vena cava

Correct answer: 4. Inferior vena cava

Explanation: The lesser omentum is the double layer of peritoneum that extends from the liver to the lessercurvature of the stomach and the first part of the duodenum. Ref - BDC 6e vol2 pg234